One of the following enzymes is not a protein
1. DNAse
2. Abzyme
3. Eco RI
4. Ribozyme

Correct answer: 4. Ribozyme

Explanation: A ribozyme is a ribonucleic acid (RNA) enzyme that catalyzes a chemical reaction. The ribozyme catalyses specific reactions in a similar way to that of protein enzymes.
Also called catalytic RNA, ribozymes are found in the ribosome where they join amino acids together to form protein chains. Ribozymes also play a role in other vital reactions such as RNA splicing, transfer RNA biosynthesis, and viral replication.